Absolute indication of Classical Cesarean section is :
1. Carcinoma cervix
2. Breech presentation
3. Transverse lie
4. Placenta previa

Correct answer: 1. Carcinoma cervix

Explanation: Carcinoma cervix